First symptom of pregnancy is:
1. Tingling in the breasts
2. Amenorrhea
3. Morning sickness
4. Quickening

Correct answer: 2. Amenorrhea

Explanation: Ans. Amenorrhea